Chronic thick walled pyogenic abscess may be due to the following except
1. Presence of a foreign body
2. Prolonged antibiotic therapy
3. Virulent strains of organism
4. Inadequate drainage

Correct answer: 3. Virulent strains of organism